Fastest acting enzyme ?
1. LDH
2. Trypsin
3. Catalase
4. None

Correct answer: 3. Catalase

Explanation: Ans. is 'c' i.e., Catalase Measurement of enzyme activity The activity of enzyme is measured in terms of the following : Unit of enzyme activity : - By international agreement, one unit enzyme activity is defined as the amount causing transformation of 1.0 micro mole of substrate per minute at 25deg C. It is usually expressed as mole of substrate disappeared or mole of product formed per minute. Specific activity : - It refers to the number of enzyme units per milligram of protein. It is a measure of enzyme purity; higher the enzyme purity, more is the specific activity. Turn over number : - This refers to the number of substrate molecules transformed per unit time by a single enzyme molecule (or by a single catalytic site), when the enzyme concentration alone is rate-limiting factor. Catalase has the highest turnover number and hence is the fastest active enzyme. Carbonic anydrase has the 2" fastest turnover number; therefore, it is 2nd fastest active enzyme (after catalase). Lysozyme has the lowest turnover number and therefore is slowest acting.